NARP syndrome is seen in:
1. Mitochondrial diseases
2. Glycogen storage diseases
3. Lysosomal storage diseases
4. Lipid storage diseases

Correct answer: 1. Mitochondrial diseases

Explanation: NARP syndrome (Neuropathy, ataxia, and retinitis pigmentosa), is a condition related to changes in mitochondrial DNA.